Dengue fever is caused by:
1. Orthomyxo virus
2. Paramyxo virus
3. Bunya virus
4. Arbovirus

Correct answer: 4. Arbovirus

Explanation: Ans: d (Arbo vims) Ref: Ananthanarayanan, 7th ed,p. 522Dengue is caused by an arbo virus, of the family FlaviviridaeArbovirus -Arhtropod borne viruses, >500 vims which are classified as:FamilyGenreImportant speciesTogaAlpha virus(Grp A)Chickungunya, Onyong-nyong virus, SindhbisFlaviFlavivirus (Grp B)Japanese encephalitis, Dengue, Yellow fever, KFDReoOrbi virusColorado tick feverRhabdoVesiculo virusChandipura virusBunyaPhlebo virusHanta virusNairo virusBunya virusSandfly feverHantan fever